Fireflies produce light due to:
1. NADH
2. GTP
3. ATP
4. Phosphocreatinine

Correct answer: 3. ATP

Explanation: ATP Bioluminescence is light produced by a chemical reaction within an organism. It requires a combination of 4 different ingredients. The light is produced through a chemical reaction involving Luciferin, which is the substrate, Luciferase, the enzyme, ATP, and oxygen. The basic reaction sequence is: The luciferase catalyzes the oxidation of luciferin into oxyluciferin. In the process light is emitted. Since the light producing reaction is dependent on ATP, it allows researchers to determine the presence of ATP and hence the presence of life. (If ATP is present in a sample of something that is a good indication that life is occurring within that specimen). NASA has used this method to test for life on other planets. If luciferin and luciferase compounds were mixed with samples and they produced a glowing reaction this would mean the presence of ATP and hence life. This reaction is also used for antibiotic susceptibility testing. If the enzyme Luciferase is added to a cultured sample of Tuberculosis and an antibiotic is also added, the strength of the antibiotic can be tested. If the drug fails, then the bacteria will continue to thrive and glow. This research has also been employed in gene activation therapy cases, where ultraviolet cameras seek out genes treated with Luciferase. If light is visible, this means that the Luciferase gene is active. This will help researchers to know when they have made a successfully attempt at gene therapy.